Third heart sound is seen in all except
1. Athletes
2. Mitral stenosis
3. Constrictive pericarditis
4. LVF

Correct answer: 2. Mitral stenosis

Explanation: Ref Harrison 19 th ed pg 1448 The third heart sound (S3 ) occurs during the rapid filling phase of ventricular diastole. It can be a normal finding in children, adolescents, and young adults; however, in older patients, it signifies heart failure. A left-sided S3 is a low-pitched sound best heard over the left ventricu- lar (LV) apex. A right-sided S3 is usually better heard over the lower left sternal border and becomes louder with inspiration. A left-sided S3 in patients with chronic heart failure is predictive of cardiovascu- lar morbidity and mortality. Interestingly, an S3 is equally prevalent among heart failure patients with and without LV systolic dysfunction